Which of the following is not feature entamoeba histolytica
1. Bloody diarrhea
2. Amoeboma is right iliac fossa
3. Hepatomegaly
4. Cart wheel appearance on CT

Correct answer: 4. Cart wheel appearance on CT

Explanation: Cart wheel appearance on CT is a feature of hydatid cyst.